Mount Fuji sign is a feature of
1. Fahr's disease
2. Acute bleed
3. Chronic bleed
4. Tension pneumocephalous

Correct answer: 4. Tension pneumocephalous

Explanation: Mount Fuji sign refers to the presence of gas (pneumocephalus) between the tips of the frontal lobes with a heaped-up appearance giving the appearance of Mount Fuji or M like appearance.